All the following clotting factors are derived from liver except
1. III
2. V
3. VII
4. IX

Correct answer: 1. III

Explanation: Factor 3 is derived from Damaged tissue and activated platelets NOT from Liver.